All of the following are side effects of Lithium except
1. Hypothyroidism
2. Diabetes Insipidus
3. Hypercalcemia
4. Leucopenia

Correct answer: 4. Leucopenia

Explanation: Lithium causes increase in Leucocyte count, not Leucopenia. Often it is used to treat Leucopenia.